How much radiation dose is needed for permanent testicular sterilization in normal male:
1. 0-5 Gy
2. 6-10 Gy
3. 11-15 Gy
4. 16-20 Gy

Correct answer: 2. 6-10 Gy

Explanation: Ans. B i.e. 6-10 Gy